Delusion of infidelity is seen in:
1. Othello syndrome
2. Dechlerambault syndrome
3. Magnan syndrome
4. Cotard syndrome

Correct answer: 1. Othello syndrome

Explanation: Othello syndrome is also called delusional jealousy or morbid jealousy. This is a state of false fixed belief that the spouse is unfaithful. It is more common in men and alcoholics. It can also associated with schizophrenia and cocaine use. It can lead the individual to act on the delusion and thereby become violent or stalk.